Russell body is found in:
1. WBC
2. RBC
3. Mast cells
4. Plasma cells

Correct answer: 4. Plasma cells

Explanation: Ans. D. Plasma cellsInclusion body:a. Russell body (intracytoplasmic) found in plasma cellb. Dutcher body (nuclear)c. Inclusion of fibril crystalline Rods